Diabetes insipidus treatment includes all EXCEPT:
1. Metformin
2. Chlorpropamide
3. Desmopressin
4. Carbamazepine

Correct answer: 1. Metformin

Explanation: (A) Metformin # Desmopressin: Desmopressin acetate is the treatment of choice for central diabetes in insipidus associated with pregnancy or the puerperium, since desmopressin is resistant to degradation by the circulating vasopressinase> It is usually given intranasally (100 pg./mL solution) every 12-24 hours as needed for thirst and polyuria.> It may be administered via metered-dose nasal inhaler containing 0.1 ml/spray or via a plastic calibrated tube.> Patients are started with 0.05-0.1 ml_ every 12-24 hours, and the dose is then individualized according to response.